Glioma of optic nerve is usually -
1. Gemistocytic
2. Pilocytic
3. Fibrillary
4. Lamellar

Correct answer: 2. Pilocytic

Explanation: Ans. is 'b' i.e., Pilocytic Optic nerve glioma o Optic nerve glioma, also referred to as juvenile pilocytic astrocytoma, is the most frequent tumor of the optic nerve in childhood. o It is a developmental hamartoma. o It is either stationary or only slowly progressive. o Tumor may arise in any portion of nerve --> i) Intraorbital, ii) Intracanalicular iii) Intracranial